Enzyme that protects the brain from free radical injury is
1. Myeloperoxidase
2. Superoxide dismutase
3. MAO
4. Hydroxylase

Correct answer: 2. Superoxide dismutase

Explanation: Superoxide dismutase ref Robbins 7/e p17 , Harrison 17/e p 2572 ,9/e p48.